Adverse effects of INH are all EXCEPT
1. Peripheral neuritis
2. Hepatitis
3. Hypothermia
4. Acne

Correct answer: 3. Hypothermia

Explanation: (C) Hypothermia # Adverse effects INH is well tolerated by most patients.> Peripheral neuritis and a variety of neurological manifestations (paresthesias, numbness, mental disturbances, rarely convulsions) are the most important dose dependent toxic effects.> These are due to interference with utilization of pyridoxine and its increased excretion in urine.> Pyridoxine given prophylactically (10 mg/day) prevents neurotoxicity even with higher doses, but routine use is not mandatory.> INH neurotoxicity is treated by pyridoxine 100 mg/day.> Hepatitis, a major adverse effect of INH, is rare in children but more common in older people and in alcoholics> It is due to dose related damage to liver cells and is reversible on stopping the drug.> Other side effects are rashes, fever, acne and arthralgia.